The drug prednisolone is known to be a powerful anti–inflammatory agent. This is true due to the action of the drug on which of the following enzymes ?
1. Cyclooxygenase
2. Lipoxygenase
3. Phospholipase A
4. Phosphodiesterase

Correct answer: 3. Phospholipase A